What causes mallet finger?
1. Extensor tendon rupture
2. Bony avulsion of distal phalanx at the extensor tendon
3. Strain and subsequent stretching of the extensor tendon
4. All the above

Correct answer: 4. All the above

Explanation: Mallet finger: A finger flexed at the DIP joint due to avulsion or rupture of extensor tendon at the base of the distal phalanx. Mallet finger occur due to forced flextion of the finger tip. Hyper- extension splint is the treatment for atleast 6-8 weeks.